Which is not used in carcinoma prostate -
1. Estrogen
2. Progesterone
3. Cyproterone acetate
4. Flutamide

Correct answer: 2. Progesterone